A patient presented with a 3.5 cms size lymph node enlargement, which was hard and present in the submandibular region. Examination of the head and neck did not yield any lesion. The next investigation to be done -
1. Chest x ray
2. Triple endoscopy
3. Supravital oral mucosa staining
4. Laryngoscopy

Correct answer: 2. Triple endoscopy